Iodine particle ratio for Ionic dimer is
1. 6:01
2. 3:02
3. 6:02
4. 2:06

Correct answer: 3. 6:02

Explanation: Iodine particles ratio: I: P Ionic monomer 3: 2 High osmolar Low Osmolar Ionic dimer 6: 2 Nonionic monomer 3: 1 Low osmolar Non-ionic dimer 6: 1 Iso-osmolar to plasma(290-300mosm)